All are suprahyoid muscle except -
1. Mylohoid
2. Geniohyoid
3. Omohyoid
4. Digastric

Correct answer: 3. Omohyoid

Explanation: Suprahyoid muscles : Digastric, stylohyoid, mylohyoid, geniohyoid.
Infrahyoid muscles : Sternohyoid, sternothyroid, thyrohyoid, omohyoid.